Nonunion is a very common complication of intracapsular fractures of the neck of femur. Which of the following is not a very important cause for the same?
1. Inadequate immobilization
2. Inadequate blood supply
3. Inhibitory effect of synovial fluid
4. Stress at fracture site due to muscle spasm

Correct answer: 4. Stress at fracture site due to muscle spasm

Explanation: D i.e. Stress at fracture site due to muscle spasm